Most common twin presentation is
1. Vertex + breech
2. Vertex + transverse
3. Vertex + vertex
4. Vertex + bro

Correct answer: 3. Vertex + vertex

Explanation: (C) Vertex + vertex # Twin pregnancy:> Most common lie of the fetus is longitudinal (90%) but malpresentations are quite common.# Combinations of presentation of the fetuses are Both vertex (commonest) First vertex and second breech First breech and second vertex Both breech, first vertex and second transverse and so on but rarest one, being both transverse when the possibility of conjoined twins should be ruled out.# Combinations of presentations of twin fetuses are Both vertex 60% First vertex, secon breech - 20% First breech, second vertex 10% Both breech 10%